Which of the following is used in forgeries as ink remover solution -
1. Sulphuric acid
2. Nitric acid
3. Carbolic acid
4. Oxalic acid

Correct answer: 4. Oxalic acid